Best response to steroids is observed with -
1. Focal glomerulonephritis
2. Lipoid nephrosis
3. Membranous GN
4. Membranoproliferative GN

Correct answer: 2. Lipoid nephrosis

Explanation: Ans. is 'b' i.e., Lipoid nephrosis o Minimal change GN is also referred to as lipoid nephrosis. o Minimal change GN has an excellent response to steroids.